Live vaccine is -
1. Salk polio
2. KFD
3. Sabin polio
4. Meningococci

Correct answer: 3. Sabin polio

Explanation: Ans. is 'c' i.e., Sabin polioLive attenuatedInactivated or killedImmunoglobulins Bacterial BOG Typhoid oral VTral Oral Polio (Sabin) Yellow fever Measles Rubella Mumps Chicken pox Influenza Rickettsial Epidemic TyphusBacterial Typhoid Cholera Pertussis Meningitis Plague Viral Rabies Injectable polio (Salk) Influenza Hepatitis AJE KFDHuman normal Hepatitis A,B Measles Rabies Tetanus Mumps Human Specific Varicella Diptheria Non-Human (antisera) Diphtheria Tetanus Gas Gangrene Botulism RabiesSubunit Vaccines Hepatitis B Typhoid Vi antigenToxoids Diphtheria TetanusBoth active & passive immunization can be given together Diphtheria Hepatitis B Tetanus Rabies